A normal-anion-gap metabolic acidosis occurs in patients with-
1. Diarrhoea
2. Diabetic ketoacidosis
3. Methyl alcohol poisoning
4. Acute renal failure

Correct answer: 1. Diarrhoea

Explanation: Alkali can be lost from the gastrointestinal tract from diarrhea or from the kidneys (renal tubular acidosis, A). In these disorders, reciprocal changes in and result in a normal anion gap (AG). * In pure non-AG acidosis, therefore, the increase in above the normal value approximates the decrease in .